Abductor of the vocal cord is :
1. Posterior cricoarytenoid
2. Lateral cricarytenoid
3. Crichothyroid
4. Thyroepiglottis

Correct answer: 1. Posterior cricoarytenoid

Explanation: A i.e., Posterior cricoarytenoid